The reservoir of protozoan infection caused by toxoplasma gondii in children is usually
1. Cats
2. Sheeps
3. Dogs
4. Rats

Correct answer: 1. Cats